Thalidomide was once used for treating emesis of pregnancy. Later it was withdrawn from market due to side effects. But it was reintroduced for certain indications like multiple myeloma. All of the following are side effects of thalidomide except :
1. Hypothyroidism
2. Diarrhea
3. Teratogenicity
4. Deep Vein Thrombosis

Correct answer: 2. Diarrhea